True about the symposium is
1. Series of speeches on a selected subject
2. No order of speaking
3. Discussion among panel members
4. Large component of commercialized continuing education

Correct answer: 1. Series of speeches on a selected subject

Explanation: A symposium is a series of speeches on a selected subject. Each person or expert presents an aspect of the subject briefly. In the end, the audience may raise questions. The chairman makes a comprehensive summary at the end of the entire session.Park 23e pg: 865